Lalita, a female pt. presents with pigmentation of the lips and oral mucosa and intestinal polyps. Her sister also gives the same history. Most probable diagnosis
1. Carcinoid tumor
2. Melanoma
3. Villous adenoma
4. Peutz-Jegher syndrome

Correct answer: 4. Peutz-Jegher syndrome